Most common secondary tumor with Retinoblastoma is
1. Neuroblastoma
2. Pineoblastoma
3. Osteochondroma
4. Osteosarcoma

Correct answer: 4. Osteosarcoma

Explanation: Most common secondary tumor with Retinoblastoma Osteosarcoma, Soft tissue sarcoma and malignant melanoma.